In ETC cmplex-4 is inhibited by all except ?
1. CO
2. CN
3. H2S
4. BAL

Correct answer: 4. BAL

Explanation: Ans. is 'd' i.e.,BAL Complex I :- Barbiturates (amobarbital), piercidin A, rotenone, chlorpromazine, guanithidine.